IgA-nephropathy is seen in -
1. Membranous glomerulonephritis
2. Mesangioproliferative glomerulonephritis
3. Focal glomerulonephritis
4. Cresentic glomerulonephritis

Correct answer: 2. Mesangioproliferative glomerulonephritis

Explanation: IgA nephropathy (IgAN) is a mesangial proliferative glomerulonephritis characterized by diffuse mesangial deposition of IgA. At one time, the term benign recurrent hematuria was also used for IgAN, but it is now known to be an important cause of end-stage renal disease (ESRD) . Ref Harrison20th edition pg 299